A 40 year old male, chronic smoker comes with acute epigastric discomfort, for past one hour. ECG showing ST segment elevation in inferior leads. What is the immediate intervention ?
1. Aspirin
2. Thrombolytic therapy
3. IV pantoprazole
4. Beta blockers

Correct answer: 1. Aspirin

Explanation: Aspirin Antiplatelet therapy in the form of aspirin is administered in all patients with acute coronary syndrome. It brings down the mortality rate at the same rate as thrombolytic therapy. Usually, aspirin is administered before the E.C.G but the presence of epigastric discomfort might have been responsible for delay in administration of aspirin.